Denosumab, a monoclonal antibody against RANK ligand is used for the treatment of :
1. Rheumatoid arthritis
2. Osteoporosis
3. Osteoarthritis
4. Systemic lupus erythematosis

Correct answer: 2. Osteoporosis

Explanation: Receptor for activated nuclear factor KB (RANK) is present on osteoclast progenitors. Binding of RANK-ligand to these receptors causes differentiation and activation of osteoclast progenitors to mature osteoclasts. Denosumab is a monoclonal antibody that prevents the binding of RANK-ligand with RANK. This prevents activation of osteoclasts and it can, therefore, be used in osteoporosis.
Osteoblasts synthesize and release osteoprotegerin (OPG), identical with RANK, which functions as a decoy receptor. OPG thus inhibits the binding to RANK-L to RANK. Hence OPG analogs can be the potential therapeutic agents of osteoporosis.